Gandy Gamma bodies are seen in -
1. Sickle cell anemia
2. Thalassemia
3. Hereditary spherocytosis
4. Vit.B12 deficiency

Correct answer: 1. Sickle cell anemia